Base of the skull fracture presents with involvement of the petrous temporal bone, which of the following important sign:
1. Subconjunctive haematoma
2. CSF rhinorrhoea
3. Raccon eyes
4. Battle sign

Correct answer: 4. Battle sign

Explanation: (Battle sign) (595-Baily & Love 24th) (302-B &L 25th)Base of Skull Fractures* Anterior fossa fracture - May open into the frontal or ethmoid air sinuses or run across the cribriform plate.* Presents with sub conjunctival hematoma, anosmia, epistaxis, nasal tip anaesthesia, CSF-rhinorrhea and occasionally carotico-cavernous fistua.* Periorbital haematoma or "raccoon eye" indicate subgaleal haemorrhage.* Middle fossa fracture involving petrous temporal bone presents with CSF otorrhoea, haemotympanum, occicular disruption, Battle sign or VII and VIII cranial nerve palsiesBattle sign - bruising behind the ear appearing 36 hours after a head injury with a petrous temporal base of skull fracture